A female of 35 years old that has completed her family is having asymptomatic 10 weeks size f 1- broid. The most appropriate management is :
1. Observation only
2. Hysterectomy with bilateral salping000phorectomy
3. Hysteroscopic myomectomy
4. Myomectomy

Correct answer: 1. Observation only

Explanation: Observation only